Clinical features of hyperprolactinaemia are all except
1. Oligomenorrhea
2. Galactorrhea
3. Recurrent abortions
4. Ambiguous genitalia

Correct answer: 4. Ambiguous genitalia

Explanation: Hyperprolactinemia is not associated with ambiguous genitalia.